A patient with abdominal injury presents to the emergency department with signs of peritonitis and shock. His airway and breathing were secured and IV fluids were started with 2 large bore cannulas. The next line of management should be:
1. FAST
2. Exploratory Laparotomy under general anesthesia
3. Insertion of abdominal drain followed by laparotomy
4. Laproscopy

Correct answer: 2. Exploratory Laparotomy under general anesthesia

Explanation: Patient with abdominal stab injury showing signs of shock and peritonitis require urgent exploratory laparotomy. Ref: Textbook of orthopedics and trauma By GS Kulkarni, Page1331.